Inverted muschtache sign is seen in
1. Pulmonary Venous hypertension
2. HOCM
3. Amyloidosis
4. Small VSD

Correct answer: 1. Pulmonary Venous hypertension

Explanation: Inverted muschtache sign or hands upsign due to upper lobe diversion of vessels - Earliest sign of pulmonary venous hypertension.